True about Tanner stage 3,
1. Penis increases in length
2. Penis increases in width
3. Scanty hair at the base of the penis
4. Darkening of scrotum

Correct answer: 1. Penis increases in length

Explanation: Tanner staging of sexual maturity in boys STAGE 1 - Testicular volume <3ml(prepubertal) STAGE 2 - Reddening of scrotum, testicular volume reaching 4 ml, scanty hair at penile base. STAGE 3 - Increase in the length of penile shaft, further increase in testicular volume, pubic hair begins to curl and darken. STAGE 4 - Increase in the girth of penis and glans, Darkening of scrotum, Coarse abundant and curly pubic hair STAGE 5 - Adult size scrotum and penis, Adult type pubic hair spreading over to medial thighs. Ref: GHAI , 9th edition, Page 61.